Active immunity is not acquired by ?
1. Infection
2. Vaccination
3. Immunoglobulin transfer
4. Sub-clinical infection

Correct answer: 3. Immunoglobulin transfer

Explanation: Ans. is 'c' i.e., Immunoglobulin transfer Acquired immunity is of two types :? 1) Active immunity . It is so called because host's immune system actively produce immunity. . Antigenic stimulus induces the immune system to produce antibodies or cellular immune response. 2) Passive immunity . It is so called because antibodies are produced in another organism and then received passively by the host.